Most common cause of surgically treatable male infertility is -
1. Varicocele
2. Cryptorchidism
3. Stricture urethra
4. Epidydimitis

Correct answer: 1. Varicocele